Mucormycosis is caused by:
1. Rhizopus arrhizus
2. Rhizopus oryzae
3. Absidia corymbifera
4. All of the above

Correct answer: 4. All of the above

Explanation: Ans. D. All of the abovea. All of these fungi belong to Zygomycetes. Infection with Zygomycetes is also called as mucormycosis and phycomycosis. Infection is seen in people with diabetic ketoacidosis.b. The most common clinical form is rhino cerebral mucormycosis.c. Biopsy of the infected tissue shows aspetate, broad, ribbon like hyphae which branch irregularly at obtuse angles.d. These fungi are angio-invasive.